Hot-tub folliculitis is caused by :
1. Staphylococcus aureus
2. Schistosoma
3. Pseudomonas aeruginosa
4. Mycobacterium marinum

Correct answer: 3. Pseudomonas aeruginosa

Explanation: Hot-tub folliculitis is caused by Pseudomonas aeruginosa in waters that are insufficiently chlorinated and maintained at temperatures of 37-40degC. Green nails can be caused by Pseudomonas aeruginosa. Acquired from wet environments like swimming pools and sinks. Typically seen in patients with existing nail disease such as onycholysis, or paronychia, have been exposed to moist environments.